Which of the following T cell independent Antigen acts through -
1. T-cell
2. B-cell
3. Macrophages
4. CD8+ T cells

Correct answer: 2. B-cell

Explanation: Ans. is 'b' i.e., B-cells T-cell independent antigens directly stimulates B-cells without processing by antigen presenting cells.